What does "Take in" means in case of skin grafting-
1. Revascularisation of the graft.
2. Return of the sensation
3. When the graft becomes adherent to recepient site
4. Non adherent graft is shed off.

Correct answer: 1. Revascularisation of the graft.